Standard of Living (WHO) includes all except-
1. Income
2. Sanitation and nutrition
3. Level of provision of health
4. Human rights

Correct answer: 4. Human rights

Explanation: Definition of 'Standard Of Living' As per WHO , H - Housing I- Income S- Sanitation O- 0ccupation N- Nutrition H- Health E- Education R- Recreation O-Others - All the above can be used individually as measures of socio-economic status & collectively as an index of standard of living. - Thus, option 4 is wrong.